True about Hashimoto's thyroiditis is all except
1. Patient can be hyperthyroid or even hypothyroid
2. Autoimmune disease
3. Commoner in males
4. Antithyroglobulin antibodies are characteristics

Correct answer: 3. Commoner in males

Explanation: Ans. c (Commoner in males)(Ref. Harrison, 18th/Chapter 341. )Hashimotofs thyroiditis (lymphadenoid goiter)# Autoimmune disease# Middle aged women (most frequent)# Most common cause of sporadic goiter in children# HLA DR3 and DR5# Goiter, outstanding feature# Increased RAIU# Patient can be euthyroid/hyperthyroid/hypoythyroid.# Treatment include steroids and less commonly ablation of the gland.# Increased risk for B-cell lymphoma(MH 2005)